All of the following drugs may cause Hirsuitism, EXCEPT:
1. Danazol
2. Phenytoin
3. Norethisterone
4. Flutamide

Correct answer: 4. Flutamide

Explanation: Flutamide is a nonsteroidal drug with antiandrogen property. It blocks the effect of androgen on accessory sex organs as well as pituitary. Along with oral contraceptives it is used in the treatment of hirsuitism. Ref: Essentials of Medical Pharmacology By KD Tripathi, 5th Edition, Page271, 272.